Which of the following structures pass through the "Aortic Hiatus" of the diaphragm:
1. Inferior vena cava
2. Oesophagus
3. Vagus nerve
4. Azygos vein

Correct answer: 4. Azygos vein

Explanation: Azygos vein